Xenon anaesthesia all are true except :
1. Slow induction and recovery
2. Non explosive
3. Minimal cardiovascular side-effects
4. Low blood solubility

Correct answer: 1. Slow induction and recovery

Explanation: Xenon is very close to the 'ideal agent'.
Advantages of Xenon Anesthesia

Inert (probably nontoxic to liver and kidney with no metabolism)
Minimal effect on CVS function
Lowest blood solubility (Lowest blood gas partition coefficient) therefore rapid induction and recovery.
Does not trigger malignant hyperthermia
Environmental friendly
Non-explosive.